Gastrulation occurs at which week of gestation:
1. 1 week
2. 5 week
3. 3 week
4. 10 week

Correct answer: 3. 3 week

Explanation: Ans. C. 3 weekThe gastrulation is the most characteristic event occurring during the third week of gestation because it forms the three germ layers that form all the tissues and organs of the body. The process of formation of three germ layers is called gastrulation.